Contraindication for nasotracheal intubation –
1. Basal skull fractures
2. Neonate
3. Difficult intubation
4. Prolonged intubation

Correct answer: 1. Basal skull fractures

Explanation: Nasal intubation is contraindicated in : Basal skull fracture, CSF rhinorrhea, coagulopathy, nasal polyp / abscess / foreign body and adenoid.